Which of the following drugs is not used in opioid dependence?
1. Disulfiram
2. Clonidine
3. Lorazepam
4. Naltrexone

Correct answer: 1. Disulfiram

Explanation: Treatment of opioid dependence 
1)   Detoxification (treatment of withdrawal syndrome)

Methadone is the DOC
Alternatives:- Buprenorphine, LAAM, clonidine, clonidine with naltrexone with or without benzodiazepines (Lorazepam, oxazepam), Lofexidine, Dextropropoxyphene, diphenoxylate.

2)   Maintenance (to prevent relapse)

Methadone is the DOC
Alternatives:- Buprenorphine, LAAM, opioid antagonists (Naltrexone).